In a rural clinic, a 3 year old girl child is brought by her mother and is emaciated. Her Hb was 5g/ dl. The girls also had edema over her knees and ankle, with discrete rash on her knees, angles and elbows. The most likely worm infestation causing these manifestations is?
1. Hook worm
2. Round worm
3. Whip worm
4. Pin worm

Correct answer: 1. Hook worm